All are true about the Short saphaneous vein except:
1. Runs on lateral side of the leg
2. Runs behind the lateral malleolus
3. Accompanied by sural nerve
4. Achilles tendon is medial to the vein

Correct answer: 1. Runs on lateral side of the leg

Explanation: Short saphaneous vein begins at the lateral end of Dorsal venous arch,runs superiorly behind the lateral malleolus ,along the lateral side of tendocalcaneous, accompanied by sural nerve on its lateral side. It keeps ascending in the middle of back of leg and ends in popliteal vein. Ref : Gray's Anatomy The Anatomical Basics of Clinical Practice 41 e pg 1399.